Thyroid storm can be treated by all the following drugs except-
1. Propylthiouracil
2. Dexamethasone
3. Propranolol
4. Aspirin

Correct answer: 4. Aspirin

Explanation: Thyrotoxic crisis, or thyroid storm, is rare and presents as a life-threatening exacerbation of hyperthyroidism, accompanied by fever, delirium, seizures, coma, vomiting, diarrhea, and jaundice. It is usually precipitated by acute illness (e.g., stroke, infection, trauma, diabetic ketoacidosis), surgery (especially on the thyroid), or radioiodine treatment of a patient with partially treated or untreated hyperthyroidism.Management requires intensive monitoring and supportive care, identification and treatment of the precipitating cause, and measures that reduce thyroid hormone synthesis : * Propylthiouracil - 500-1000 mg loading dose and 250 mg every 4 h) orally or by nasogastric tube or per rectum; reduces hormone synthesis as well as peripheral T4 to T3 conversion. * One hour after the first dose of propylthiouracil, stable iodide is given to block thyroid hormone synthesis the Wolff-Chaikoff effect. A saturated solution of potassium iodide (5 drops SSKI every 6 h) or, where available, ipodate or iopanoic acid (500 mg per 12 h) may be given orally. * Propranolol should be given to reduce tachycardia and other adrenergic manifestations (60-80 mg PO every 4 h; or 2 mg IV every 4 h). In addition they reduce peripheral T4 to T3 conversion. * Glucocorticoids (e.g., hydrocortisone 300 mg IV bolus, then 100 mg every 8 h) help to tide over the crisis, cover any adrenal insufficiency and inhibit peripheral T4 to T3 conversion. * Antibiotics if infection is present, cooling, oxygen, and IV fluids. Reference : page 2297 Harrison's Principles of Internal Medicine 19th edition